All of the following are products of cyclooxygenase pathway from arachidonic acid, EXCEPT:
1. PGE2
2. PG D2
3. PGF2
4. LT4

Correct answer: 4. LT4

Explanation: Arachidonate, which may be obtained from the diet, but is usually derived from the 2 position of phospholipids in the plasma membrane by the action of phospholipase A2, is the substrate for the synthesis of the PG2, TX2 series (prostanoids) by the cyclooxygenase pathway, or the LT4 and LX4 series by the lipoxygenase pathway. Ref: Botham K.M., Mayes P.A. (2011). Chapter 23. Biosynthesis of Fatty Acids & Eicosanoids. In D.A. Bender, K.M. Botham, P.A. Weil, P.J. Kennelly, R.K. Murray, V.W. Rodwell (Eds), Harper's Illustrated Biochemistry, 29e.